In an 8 day old child with no history of consanguinity in the parents, the mother reports blisters and bleeding off of the skin at the site of handling and pressure. There was a similar history in the previous child which proved to be fatal. The diagnosis is –
1. Bullous pemphigoid
2. Congenital syphilis
3. Congenital epidermolysis bullosa
4. Letterer – Swiwe disease

Correct answer: 3. Congenital epidermolysis bullosa

Explanation: Presence of family history and peeling of skin at the site of handling confirms the diagnosis of congenital epidermolysis ullosa.